A 7-year old boy presents with a right-sided hemangioma and left-sided focal seizures. The most likely diagnosis is:
1. Neurofibromatosis
2. Incontinetia pigmenti
3. Hypermelanosis of Ito
4. Sturge-Weber disease

Correct answer: 4. Sturge-Weber disease

Explanation: Ans. d. Sturge-Weber disease